Heating and subsequent plating is a method used for isolating?
1. Corynebacterium
2. Vibrio
3. Salmonella
4. Clostridia

Correct answer: 4. Clostridia

Explanation: Clostridia are isolated by heating followed by plating using redox potential. REF:Textbook of microbiology, Ananthanarayan and Paniker. Page no.:252